Facial nerve palsy is seen in the following fracture
1. Anterior cranial fossa
2. Middle cranial fossa
3. Cranial vault
4. Posterior cranial Fossa

Correct answer: 2. Middle cranial fossa